Hyperkalemia is observed in which one of the following conditions -
1. Type 1 renal tubular acidosis
2. Type 2 renal tubular acidosis
3. Type 4 renal tubular acidosis
4. Bartter's syndrome

Correct answer: 3. Type 4 renal tubular acidosis

Explanation: Type 4: Hyperkalemic RTA Either low potassium--hypokalemia--or high potassium--hyperkalemia--can be a problem because potassium is important in regulating heart rate. Type 4 RTA occurs when blood levels of the hormone aldosterone are low or when the kidneys do not respond to it. Ref Harrison20th edition pg 289